Derivative of Rathke's pouch ?
1. Anterior pituitary
2. Posterior pituitary
3. Superior parathyroid
4. Inferior parathyroid

Correct answer: 1. Anterior pituitary

Explanation: Adenohypophysis (anterior lobe) include (i) pars anterior or pars distalis or pars glandularis or anterior lobe proper, (ii) pars intermedia (intermediate lobe); and (iii) tuberal lobe (pars tuberalis). It develops from an upward growth (Rathke's pouch) from the ectodermal roof of stomodeum.Neurohypophysis (posterior lobe) include (i) pars posterior or pars nervosa or neural lobe or posterior lobe proper; (ii) infundibulum (infundibular stem); and (iii) median eminence. It develops from a downgrowth from the 3rd ventricle/ diencephalon (neuroectoderm) called infundibulum.